Not the cause of neonatal seizures ?
1. Pyridoxine deficiency
2. Hypokalemia
3. Hypoxia
4. None

Correct answer: 2. Hypokalemia

Explanation: Hypokalemia is not a cause of seizure. Instead pyridoxine dependency, hypoxia , hypocalcaemia ,hypomagnesemia, hypoglycemia causes seizures. Ref : Ghai pediatrics eighth edition pg no 553